Wilms' tumor is associated with the following except-
1. Aniridia
2. Horse-shoe kidney
3. Hemihypertrophy
4. Opsoclonus

Correct answer: 4. Opsoclonus

Explanation: Ans. is 'd' i.e., Opsoclonus